Which of the following reactions takes place in two compartments?
1. Gluconeogenesis
2. Glycolysis
3. Glycogenesis
4. Glycogenolysis

Correct answer: 1. Gluconeogenesis

Explanation: Ans. A. Gluconeogenesis(Ref: Harper 31/e page 172)Gluconeogenesis takes place in cytosol and mitochondria.The Mitochondrial step is Pyruvate Carboxylase reactionPathways taking place in two compartments areHeme SynthesisUrea CycleGluconeogenesis